What is the major source for histamine released during inflammation?
1. Platelets
2. Mast cells
3. Basophils
4. Endothelial cells

Correct answer: 2. Mast cells

Explanation: Mast cells are the richest source of histamine